Difference between neurosis and psychosis is
1. Severity
2. Insight
3. Clinical features
4. Duration

Correct answer: 2. Insight

Explanation: B i.e. Insight